A male was brought unconscious to the hospital with external injuries. CT shows no midline shift, but basal cisterns were full (compressed) with multiple small haemorrhage. The most probable diagnosis is:
1. Brain contusion
2. Diffuse axonal injury
3. Subdural hemorrhage
4. Multiple infarct

Correct answer: 2. Diffuse axonal injury

Explanation: B i.e. Diffuse axonal injuries Diffuse axonal injuries (DAI) - shearing injuries caused by sudden rotational or accelerating / decelerating forces. Patient typically lose consciousness at the time of impactQ. On CT small petechial hemorrhages are seenQ